In Intermittent claudication, the crampy pain in muscles is
1. Brought on by walking
2. Not present on taking the first step.
3. Relieved by standing still/rest.
4. All of the above

Correct answer: 4. All of the above

Explanation: INTERMITTENT CLAUDICATION 
→ Crampy pain in muscle that is:

Brought on by walking (exercise)
Not present on taking the first step (unlike osteoarthritis)
Relieved by standing still / rest (unlike pseudoclaudication)